Traumatic iridodialysis may cause
1. Antiflexion of the iris
2. Retroflexion of the iris
3. lridoplegia
4. All of the above

Correct answer: 1. Antiflexion of the iris

Explanation: BLUNT TRAUMA Iris, pupil and ciliary body : 1. Traumatic miosis: It occurs initially due to irritation of ciliary nerves. It may be associated with spasm of accommodation. 2. Traumatic mydriasis (Iridoplegia): It is usually permanent and may be associated with traumatic cycloplegia. 3. Rupture of the pupillary margin. 4. Radiating tears in the iris stroma. 5. Iridodialysis: i.e., detachment of iris from its root at the ciliary body occurs frequently. It results in a D-shaped pupil and a black biconvex area seen at the periphery. 6. Antiflexion of the iris: It refers to rotation of the detached portion of iris, in which its posterior surface faces anteriorly. It occurs following extensive iridodialysis. 7. Retroflexion of the iris: This term is used when whole of the iris is doubled back into the ciliary region and becomes invisible. Ref:- A K KHURANA; pg num:-404,405